The term "tumour progression" means -
1. Spread of cancer to distant site
2. Rate of growth of tumour
3. Ability of cancer cells to resemble their normal counterpart
4. Sequential appearance of features of increasing malignancy

Correct answer: 4. Sequential appearance of features of increasing malignancy

Explanation: Tumor progression is the third and last phase in tumor development. This phase is characterised by increased growth speed and invasiveness of the tumor cells. As a result of the progression, phenotypical changes occur and the tumor becomes more aggressive and acquires greater malignant potential. Together with the progression, more and more aneuploidy occurs. This leads to expression in cell and nuclear polymorphism